An anterolateral (ventrolateral) corodotomy relieving pain in right leg is effective because it interrupts the:
1. Left dorsal column
2. Left ventral spinothalmic tract
3. Left lateral spinothalmic tract
4. Right lateral spinothalmic tract

Correct answer: 3. Left lateral spinothalmic tract

Explanation: C i.e. Left lateral spinothalamic tract